Blue white color in UV rays is seen in:
1. Semen
2. Blood
3. Pus
4. Leukorrhoea

Correct answer: 1. Semen

Explanation: Ans. Semen